A patient on spirometry shows FEV1/FVC <0.7 and FEV1 >=30% but <50% predicted. Patients diagnosis according to GOLD criteria is?
1. Mild COPD
2. Moderate COPD
3. Severe COPD
4. Very severe COPD

Correct answer: 3. Severe COPD

Explanation: Patient with these findings FEV1/FVC <0.7 and FEV1 >=30% but <50% predicted suggestive of diagnosis of Severe grade of COPD GOLD Stage Severity Spirometry I Mild FEV1/FVC <0.7 and FEV1 >=80% predicted II Moderate FEV1/FVC <0.7 and FEV1 >=50% but <80% predicted III Severe FEV1/FVC <0.7 and FEV1 >=30% but <50% predicted IV Very severe FEV1/FVC <0.7 and FEV1 <30% predicted